Stage II laryngeal carcinoma treated by
1. Radiation
2. Surgery
3. Chemo therapy
4. Neo adjuvant chemotherapy and then surgery

Correct answer: 1. Radiation